A child with Tubercular meningitis (TBM) presents with hydrocephalus after VP shunt has polyuria and hyponatremia. The most probable diagnosis is:
1. Central Diabetes insipidus
2. SIADH
3. Cerebral salt wasting
4. Shunt block

Correct answer: 3. Cerebral salt wasting

Explanation: Ans. C. Cerebral salt wastingDifferentiating features of Central Diabetes insipidus, SIADH and Cerebral salt wastingClinical ParameterSIADHCerebral Salt wastingCentral diabetes insipidusSerum sodiumLowLowHighUrine outputNormal or lowHighHighUrine sodiumHighVery highLowIntravascular volume statusNormal or highLowLowIn Shunt block there will be signs of raised ICT like altered sensorium and vomiting.